Which of the following is not a disclosing agent
1. Erythrocin
2. Cetyl pyridinim chloride
3. Mercurochrome
4. Two tone solution

Correct answer: 2. Cetyl pyridinim chloride